The clinical use of leuprolide include all the following EXCEPT:
1. Endometriosis
2. Osteoporosis
3. Prostate cancer
4. Precocious puberty

Correct answer: 2. Osteoporosis

Explanation: Leuprolide is a long acting GnRH agonist. GNRH agonists are used in precocious puberty, prostate cancer, endometriosis, premenopausal breast cancer, uterine leiomyoma, polycystic ovarian disease. THEY Will decrease excess hormones like estrogen , androgen (REF.Essential of medical pharmacology K D TRIPATHI 6 Edition, Page No - 239)